In metabolic alkalosis, there is which of the following?
1. Gain in fixed acid
2. Loss of base
3. Hyperkalemia
4. Rise in base excess

Correct answer: 4. Rise in base excess

Explanation: In metabolic alkalosis, there may be a loss of fixed acids or excess of base. It is associated with hypokalemia because of renal conservation of H+ ions and urinary potassium loss. Loss of hydrochloric acid as seen in vomiting in patients with pyloric obstruction results in hypochloremic, hypokalemic, metabolic alkalosis.